In pregnancy what is the dose of folic acid (in mcg/day)
1. 100
2. 200
3. 400
4. 800

Correct answer: 3. 400

Explanation: Ans. c (400) (Ref. Williams Obstetrics 22nd/Ch. 8)# In nonpregnant women, folic acid requirement is 50 to 100 mg/day.# During pregnancy, requirements are | , and 400 mg/day are recommended.FOLIC ACID DEMAND IN PREGNANCY# The earliest biochemical evidence is low plasma folic acid concentrations.# The earliest morphological evidence is hypersegmentation of neutrophils, and newly formed RBCs are macrocytic.# Rx:- folic acid, a nutritious diet, and iron.- As little as 1 mg of folic acid administered orally once daily produces a striking hematological response.- By 4 to 7 days after beginning Rx, the reticulocyte count is -, leukopenia and thrombocytopenia are corrected.